A 2 day old newborn baby presented with microcephaly, macroglossia, visceromegaly and a blood glucose level of 20 mg/dl. What is the most likely diagnosis
1. Prader–Willi syndrome
2. Beck with–Wiedman syndrome
3. Werner syndrome
4. Cockayne syndrome

Correct answer: 2. Beck with–Wiedman syndrome